Which of the following is arboviral infection -
1. Chikungunya
2. West - nile fever
3. KFD
4. All of the above

Correct answer: 4. All of the above

Explanation: Ans. is 'd' i.e., All of the aboveFamilyGenusSpeciesTogoviridaeAlphaviruses (group A)Chikungunya, SindbisFlaviriridaeFlavivirus (group B)Japanese encephalitis, West niley yellow fever, Dengue, Kyasanur forest diseaseBunyaviridaeBunyavirusCalifornia encephalitisPhlebovirusSandfly fever, Rift valley fever.NairovirusGanjam virusHantavirusHantan, PuumalaReoviridaeOrbivirusAfrican horse sicknessRhabdoviridaeVesiculovirusChandipura virus, vesicular stomatitis virus